Sialogouges are
1. Increases salivary secretions
2. Decreases salivary secretions
3. Indicator dye for sialography
4. Medication for over function

Correct answer: 1. Increases salivary secretions